Pepper salt fundus is seen in:
1. CMV retinitis
2. Toxoplasmosis
3. Rubella
4. Measles

Correct answer: 3. Rubella

Explanation: Ans. Rubella